True positivity is indicated by-
1. Sensitivity
2. Specificity
3. Predictive value
4. Validity

Correct answer: 1. Sensitivity

Explanation: .the term sensitivity is defined as the ability of a test to identify correctly al those who have the disease,that is true positive. ref:park's textbook,22nd edition,pg no 131